One of the health benefits of the use of combined oral contraceptives in pre–menopausal women is that these contraceptives reduce the risk of:
1. Deep vein thrombosis
2. Migraine
3. Ovarian cancer
4. Ischemic stroke

Correct answer: 3. Ovarian cancer